In case of typical hanging, position of knot is at:
1. Occiput
2. Angle of mandible
3. Below the chin
4. Side of neck

Correct answer: 1. Occiput

Explanation: Ans. (a) OcciputRef: The Essentials of FSM by K.S. Narayan Reddy 31st ed. / 314-15HANGING* A form of violent asphyxia as a result of suspension ofthe body by a ligature round the neck the constricting force being the weight of body.Type of Hanging according to position of KnotTypical HangingAtypical Hanging* Knot of ligature should be at the nape of neck on the back (Occiput).* 'V' shape above thyroid cartilage* Eg: suicide hanging* At any site other than the nape of neck* Most common site is near on angle of mandible* No V- shape* Eg: Judicial hanging